Vitamin B6 is required for which reaction -
1. Carboxylation
2. Transamination
3. Oxidative decarboxylation
4. Transketolase

Correct answer: 2. Transamination

Explanation: Ans. is 'b' i.e., Transamination VitaminCoenzymeFunction as coenzymeEntity transferredThiamine (Vit B1)Thiamine pyrophosphate (TPP)Oxidative decarboxylation and transketolase reactionHydroxy-ethylRiboflavin (Vit B2)Flavin adenine dinucleotide (FAD) and flavin mononucleotide (FMN)Oxidation and reduction reactionHydrogen atomsNiacinNicotinamide adenine dinucleotide (NAD+) and nicotinamide adenine dinucleotide phosphate (NADP+)Oxidation and reductionreactionHydride ion (H-)Pyridoxine (Vit B6)Pyridoxal phosphate (PLP)Transamination, deamination, decarboxylation of amino acidsAmino groupBiotinBiocytinCarboxylation reactionCarbon dioxideFolic acidTetrahydrofolate (THF)Carrier of one carbon group (other than CO2)One-carbon groupPantothenic acidCoenzyme AAcyl carrierAcyl groupCyanocobalamineMethylcobalamine and DeoxyadenosylcobalamineTransfer of H2 group and isomerizationAlkyl group or a hydrogen atom